All are true about adenoids except
1. Physiological growth up to 6 years
2. Crypta magna present
3. Present in nasopharynx
4. Supplied by facial artery

Correct answer: 2. Crypta magna present

Explanation: The adenoids are a mass of soft tissue behind the nasal cavity. Like lymph nodes, adenoids are part of the immune system and are made of the same type of tissue (lymphoid tissue). White blood cells circulate through the adenoids and other lymphoid tissue, reacting to foreign invaders in the body.